Most common type of hiatus hernia:
1. Sliding
2. Rolling
3. Mixed
4. None

Correct answer: 1. Sliding

Explanation: Ans. (a) SlidingRef: Bailey and Love 27h Edition, Page 1083Sliding hiatus hernia in which OG junction enters the mediastinum via the wide hiatus,* Type 1: Sliding (Most common--70%)* Type 2: Paraesophageal/Rolling hernia* Type 3: Mixed* Type 4: Along with stomach, other structures like colon, spleen, pancreas or small bowel migrate into mediastinum.